As type of tympanogram is seen in:
1. Otosclerosis
2. Ossicular discontinuity
3. Glue ear
4. None

Correct answer: 1. Otosclerosis

Explanation: Ans: a (Otosclerosis) Ref: Dhingra, 3rd ed, p. 34 & 4thed, p. 26As type tympanogram indicates low compliance at or near ambient air pressure.Seen in fixation of ear ossiclesTypes of tympanogram:A -NormalAs - Otosclerosis, malleus fixationAd - Ossicular discontinuity, lax thin TM (High compliance)B - Flat / dome shaped - No change in compliance - Middle ear fluid / Thick TMC - Maximum compliance at -100 mm H2O - Retracted TM